Mannitol Salt agar is used for isolation of ?
1. Gonococcus
2. Pneumococcus
3. Staphylococcus
4. Pseudomonas

Correct answer: 3. Staphylococcus

Explanation: Ans. is 'c' i.e., Staphylococcus